Diencephalon represents -
1. Lateral ventricle
2. 3rd ventricle
3. 4th ventricle
4. Aqueduct

Correct answer: 2. 3rd ventricle